In which disease a generalized papular rash, fever, conjunctivitis & lesion on buccal mucosa shown below are seen?
1. Mumps
2. Measles
3. Chickenpox
4. Rubella

Correct answer: 2. Measles

Explanation: b. MeaslesA red lesion with a whitish spot on buccal mucosa, suggestive of Koplik's spot, along with a papular rash, fever & conjunctivitis, suggest a diagnosis of Measles